True about Niacin is
1. Oral manifestation of its deficiency is Raw beefy tongue
2. 60 mg of tryptophan is equivalent to 1 mg of Niacin
3. Deficiency cause pellagra
4. All of the above

Correct answer: 4. All of the above